Which of the following is a feature of a highly ionized drug?
1. Accumulates in the cellular lipids
2. Can cross the placental barrier easily
3. Is well absorbed from the intestine
4. Is excreted mainly by the kidney

Correct answer: 4. Is excreted mainly by the kidney

Explanation: A highly ionized drug is lipid insoluble, it is therefore not reabsorbed across the renal epithelial membrane and is easily excreted by the kidneys. Non Ionized Drugs Ionized Drugs Non ionized drugs are lipid soluble Ionized drugs are lipid insoluble Rapidly pass across placenta Poorly pass across placenta Rapidly absorbed from stomach & intestine Poorly absorbed from stomach & intestine Ref: Nutrition Therapy and Pathophysiology By Marcia Nahikian Nelms, Page 303; Small Animal Clinical Pharmacology By Jill E. Maddiso, Page 34